A Lower Segment Caesarean section (LSCS) can be carried out under all the following techniques of anaesthesia, EXCEPT:
1. General anaesthesia
2. Spinal anaesthesia
3. Caudal anaesthesia
4. Combined Spinal Epidural anaesthesia

Correct answer: 3. Caudal anaesthesia

Explanation: Caudal anaesthesia may be used for perenial operations. It is not indicated in Lower segment caesarian section. Further it is associated with potential risk of penetrating the fetal head in obstetric practice. Ref:Textbook of Anaesthesia By Aitkinhead, 4th Edition, Pages 568, 641, 643